The terminal end of a retentive arm is optimally placed
at
1. Middle of the gingival third of the clinical crown
2. Middle of the middle third of the clinical crown
3. Under the gingival sulcus in the clean area
4. Middle of occlusal third of the clinical crown

Correct answer: 1. Middle of the gingival third of the clinical crown